What is DASH?
1. Dietary approaches to stop hypertension
2. Domestic approach to safeguard hepatitis
3. Dietary approaches to stop hyperlipidemia
4. Domestic approaches to stop hemorrhage

Correct answer: 1. Dietary approaches to stop hypertension

Explanation: DASH DIET (DIETRARY APPROACHES TO STOP HYPERTENSION) : Description: dietary pattern promoted to prevent and control hypertension. DASH diet is rich in fruits, vegetables and has low-fat poultry products , nuts & beans; and limited sugar-sweetened foods and beverages, red meat . DASH reduces SBP by 6 mm Hg, DBP by 3 mm Hg in high BP. DASH leads to no changes on daily intake of 1,600-3,100 calories.